Diphtheria toxin acts by:
1. Inhibiting acetyl choline release
2. Inhibiting glucose transport
3. Increasing levels of cyclic AMP
4. Inhibiting protein synthesis

Correct answer: 4. Inhibiting protein synthesis

Explanation: Ans. is 'd' i.e., Inhibiting protein synthesis(Ref: Ananthanarayan, 9th/e, p. 238 and 8th/e, p. 234)An exotoxin with a similar mode of action can be produced by strains of Pseudomonas aeruginosa.